Number of teeth seen on X-ray at birth:
1. 20
2. 22
3. 24
4. 30

Correct answer: 3. 24